A young man back from leisure trip has swollen knee joints & foreign body sensation in eyes. Likely cause is -
1. Reiter's syndrome
2. Sarcoidosis
3. Behcet's disease
4. SLE

Correct answer: 1. Reiter's syndrome

Explanation: Ans. is 'a' i.e., Reiter's syndrome Arthropathy following a recent leisure trip suggests reactive arthritis.Eye involvement points towards Reiter's syndrome.Reactive arthritis refers to acute nonpurulent arthritis, complicating an infection elsewhere in the body.Reiter's syndrome is one of the classic forms of reactive arthritis i.e. an aseptic inflammatory arthritis associated with nonspecific urogenital or bowel infection (with manifestations in the eye).Reactive arthritis is frequently associated with the human leucocyte antigen B27 (HLA - B27) Q haplotype.The etiology of reactive arthritis remains uncertain. The most accepted theory about the pathophysiology of reactive arthritis involves initial activation by a microbial antigen followed by an autoimmune reaction that involves skin, eyes and joints.Two forms of reactive arthritis have been recognized a sexually transmitted form and a dysenteric form.Gastrointestinal infections with, Shigella Q, salmonella Q and Campylobacter species and genitourinary infections with chlamydia trachomatis Q have been found to trigger reactive arthritis.The characteristic triad of Reiter's syndromeArthritis Q {polyarthritis, non erosive)Urethritis QConjunctivitis Q